At autopsy, the cyanide poisoning case will show the following features, except - -
1. Characteristic bitter lemon smell
2. Congested organs
3. The skin may be bright red or cherry red
4. Erosion and hemorrhages in oesophagus and stomach

Correct answer: 1. Characteristic bitter lemon smell

Explanation: Cyanide poisoning is associated with a characteristic smell of biter almonds and not of bitter lemon.
Other three options are correct.